Which of these scoring system is helpful in assessing severity of wound infection and is used for research and surveillance?
1. Southhampton grading scale
2. ASA classification
3. Glasgow score
4. APGAR

Correct answer: 1. Southhampton grading scale

Explanation: South Hampton grading Scale is used for surgical site infections. SURGICAL SITE INFECTIONS A major SSI is defined as a wound that either discharges significant quantites of pus spontaneously or needs a secondary procedure to drain it. The patient may have systemic signs such as tachycardia, pyrexia and a raised WBC count (Systemic inflammatory response syndrome (SIRS)) Minor wound infections may discharge pus or infected serous fluid but should not be associated with excessive discomfort, systemic signs or delay in return home. The differentiation between major and minor and the definition of SSI is important in audit or trials of antibiotic prophylaxis. There are scoring systems for the severity of wound infections, which are particularly useful in surveillance and research. Examples are the Southhampton and ASEPSIS systems . Southampton Wound Grading system Grade/Appearance Subtype/Appearance 0: Normal Healing I: Normal healing with mild brusing or erythema Ia: Some brusing Ib: Considerable brusing Ic: Mild erythema II: Erythema Plus other signs of inflammation IIa: At one point IIb: Around sutures IIc: Along wound IId: Around wound III: Clear or hemoserous discharge IIIa: At one point only (<2 cm ) IIIb: Along wound (>2 cm) IIIc: Large volume IIId: Prolonged (>3 days) IV: Pus IVa: At one point only (<2 cm) IVb: Along wound (>2cm) REf: Bailey 27th edition PGno: 48